Inner ear contain endolymph and perilymph. Which of the following structure of the inner ear produces endolymph?
1. Is a filtrate of blood serum
2. Is secreted by Stria vascularis
3. Is secreted by Basilar membrane
4. Is secreted by Hair cells

Correct answer: 2. Is secreted by Stria vascularis

Explanation: Endolymph fills the entire membranous labyrinth and resembles intracellular fluid, being rich in K ions. It is secreted by the secretory cells of the stria vascularis of the cochlea and by the dark cells (present in the utricle and near the ampullated ends of semicircular ducts).